Dialysis can not be done for
1. Amphetamine
2. Digoxin
3. Propanalol
4. All of the above

Correct answer: 4. All of the above

Explanation: Dialysis can not be done for these drugs because of large volume of distribution (Vd).